Sclerotic bodies is seen:
1. Sporotrichosis
2. Blastomycosis
3. Chromoblastomycosis
4. Cocci diodes

Correct answer: 3. Chromoblastomycosis

Explanation: Ans. is 'c' i.e., Chromoblastomycosis(Ref: Ananthanarayan, 9th/e, p. 609)Histologically, the lesions of chromoblastomycosis show the presence of the fungus as round or irregular, dark brown, yeast-like bodies with septae, called sclerotic bodies.